Treatment of paracetamol poisoning -
1. N acetyl cysteine
2. Activated charcoal
3. Dialysis
4. Alkaline diuresis

Correct answer: 1. N acetyl cysteine

Explanation: Ans. is 'a' i.e., N acetylcysteine Treatment of paracetamol poisoning:o Gastric lavage- useful with in 4 hours.o N acetyl cysteine- treatment of choice. Given orally within one day to prevent hepatic damage,o Restrict fluids to less than 2.51 daily as paracetamol causes fluid retention,o Hemodialysis for acute renal failure.